A high tracheostomy may be indicated in:
1. Scleroma of the larynx
2. Multiple papilliomatosis of larynx
3. Bilateral vocal cord paralysis
4. Carcinoma of larynx

Correct answer: 4. Carcinoma of larynx

Explanation: It is important (in tracheostomy) to refrain from causing any damage in the region of cricoid cartilage. An exception to this rule is when a patient has laryngeal malignancy and under these circumstances tracheostomy should be placed high so as to allow resection of tracheostomy site at the time of laryngectomy - Scott Brown 7th/ed vol 2 pg. 2295 The high tracheostomy is generally avoided because of the postoperative risk of peri-chondritis of the cricoid cartilage and subglottic stenosis. In cases of carcinoma larynx with stridor when total laryngectomy would be done, high tracheostomy is indicated.